The covering over an omphalocele is -
1. Skin
2. Amniotic membrane
3. Chorionic membrane
4. None of the above

Correct answer: 2. Amniotic membrane

Explanation: Ans. is 'b' i.e., Amniotic membrane The covering is made up of 2 layers - an outer layer of amniotic membrane & an inner layer of peritoneum.